Superficial perineal space contains ?
1. Sphincter urethrae muscle
2. Ischiocavernosus muscle
3. Deep transverse perinei muscle
4. Bulbourethral gland

Correct answer: 2. Ischiocavernosus muscle

Explanation: Ans. is 'b' i.e., Ischiocavernosus muscle